Mesial temporal lobe epitepsy is associated with -
1. Simple partial
2. Generalised Tonic Clonic
3. Complex partial
4. Atonic seizures

Correct answer: 3. Complex partial